Marjolin's ulcer is a
1. Malignant ulcer found on the scar of burn
2. Malignant ulcer found on infected foot
3. Trophic ulcer
4. Meleney's gangrene

Correct answer: 1. Malignant ulcer found on the scar of burn

Explanation: Marjolin's ulcer is well-differentiated squamous cell carcinoma which occurs in chronic scars like burn scar, scar of venous ulcer. It is slow growing, locally malignant disease. Reference : SRB's Manual of Surgery, 6th Edition, page no = 283.